Immunoglobulins are formed by?
1. Plasma cells
2. T-cells
3. B-cells
4. Macrophages

Correct answer: 1. Plasma cells

Explanation: Plasma cells are the antibody-secreting cells. On contact with its appropriate antigen, the mature B cell undergoes clonal proliferation. The majority of activated B cells are transformed into plasma cells and secrete antibodies
While plasma cell is the best antibody-producing cell, lymphocytes, lymphoblasts and transitional cells may also synthesise Ig to some extent.